The mean of the 25 plasma volumes is 12.5 litres. Standard deviation is 0.25. Calculate Variance:-
1. 0.0625
2. 0.625
3. 6.25
4. 625

Correct answer: 1. 0.0625

Explanation: - Standard deviation = square root of variance Variance = (S.D X S.D) - Given SD = 0.25 - Thus, Variance = 0.25 x 0.25 = 0.0625